Quinsy is characterized by all except -
1. Peritonsillar abscess
2. Indication for tonsillectomy
3. Should be drained
4. Affects nasal mucosa

Correct answer: 4. Affects nasal mucosa